The likely diagnosis in a child with limb pain and pancytopenia is
1. Aplastic anemia
2. Acute lymphocytic leukemia
3. Rheumatic fever
4. Rheumatoid arthritis

Correct answer: 2. Acute lymphocytic leukemia

Explanation: Child with acute lymphocytic leukemia presents with pallor, petechiae, infection(pancytopenia),. Reference: GHAI Essential pediatrics, 8th edition